In noise-induced hearing loss, audiogram shows a typical notch at
1. 1000 Hz
2. 2000 Hz
3. 3000 Hz
4. 4000 Hz

Correct answer: 4. 4000 Hz

Explanation: Audiogram in NIHL shows a typical notch at 4000kHz, for both air and bone conduction. (Ref: Diseases of EAR, NOSE AND THROAT by PL DHINGRA - 6th Edition)